What is DOC of Severe Complicated Falciparum Malaria is ?
1. Quinine
2. Artemether
3. Artesunate
4. Hydroxychloroquine

Correct answer: 3. Artesunate

Explanation: ARTEMESININS : Artemisinin and its three major semisynthetic derivatives in clinical use Dihydroartemisinin, Artemether and Artesunate are potent and Fast-acting Antimalarials. They are optimized for the treatment of Severe P. falciparum malaria and are also effective against the asexual erythrocytic stages of P.vivax. ARTESUNATE - All patients with Severe Falciparum Malaria should be treated with I/V or I/M Artesunate (atleast 24 hours). The semisynthetic artemisinins have been formulated for Oral (Dihydroartemisinin, Artesunate, and Artemether); Intramuscular (Artesunate and Artemether); Intravenous (Artesunate); and Rectal (Artesunate) routes. ARTEMETHER - is used only if Parenteral Artesunate is not available PROPERTIES : Fastest acting Antimalarial drug Effective against MDR parasites Short acting C/I in 1st Trimester